A pregnant lady was found to be HIV positive in first trimester. Next line of management is:-
1. Start ART now, continue throughout pregnancy and till 6 weeks after delivery
2. Start ART now, continue throughout pregnancy and till lifelong
3. Start ART after first trimester, continue throughout pregnancy and till 6 weeks after delivery
4. Start ART after first trimester; continue throughout pregnancy and till lifelong

Correct answer: 2. Start ART now, continue throughout pregnancy and till lifelong

Explanation: ART- To HIV+ pregnant women and women doing breast feeding Should be initiated regardless of WHO clinical stage and at any CD4 count. To be continued lifelong.